Duchnne's muscular dystrophy
1. X-linked dominant
2. X-linked recessive
3. Autosomal dominant
4. Autosomal recessive

Correct answer: 2. X-linked recessive

Explanation: Duchene muscular dystrophy is a X linked recessive disorder. Usually become symptomatic before 5 yr and may have history of delayed walking